In Allergic rhinitis, nasal mucosa is -
1. Pale & swollen
2. Pink & swollen
3. Atrophied
4. Bluish & atrophied

Correct answer: 1. Pale & swollen